Meals supplied in mid day meals programme should provide:
1. 1/2 calories and 1/2 proteins
2. 1/2 calories and 1/3 proteins
3. 1/3 calories and 1/2 proteins
4. 1/3 calories and 1/3 proteins

Correct answer: 3. 1/3 calories and 1/2 proteins

Explanation: Ans. C: 1/3 calories and 1/2 proteins Mid-day meal programme/school lunch programme is in operation since 1961 with the major objective of attracting more children to schools and retain them so that literacy improvement of children could be brought about. The meal supply should provide at least one-third of the total energy requirement, and half of the protein need. Mid-day meal scheme/ National programme of nutritional support to primary education is launched in 1995. In September 2004 the scheme was revised to provide cooked mid day meal with 300 calories and 8-12 grams of protein to all children studying in classes I-V in Government and aided schools and EGS/AIE centers. In addition to free supply of food grains, the revised scheme provided Central Assistance for (a) Cooking cost Re 1 per child per school day, (b) Transport subsidy was raised from the earlier maximum of Rs 50 per quintal to Rs. 100 per quintal for special category states, and Rs. 75 per quintal for other states, (c) Management, monitoring and evaluation costs 2% of the cost of food grains, transport subsidy and cooking assistance, (d) Provision of mid day meal during summer vacation in drought affected areas